Which of the following ATT drugs is associated with visual deterioration
1. INH
2. Rifampicin
3. Capreomycin
4. Ethambutol

Correct answer: 4. Ethambutol

Explanation: D i.e. Ethambutol The common agents which lead to toxic amblyopia or chronic retrobulbar neuritis are - tobacco Q, methyl alcohol Q, ethyl alcohol, lead, arsenic, quinine Q, carbon di sulphide, cannabis indica and ethambutol Q Ethambutol is contraindicated in children below 6 yearsQ because young children may be unable to report early visual impairment. Ethambutol amblyopia presents with defective colour vision, reduced visual acuity and central or centrocaecal scotoma but when optic chiasma is involved a bitemporal hemianopia develops.